The primary function of access openings is to
1. Facilitate canal medication
2. Provide good access for irrigation
3. Aid in locating canal orifices
4. Provide straight line access to the apex

Correct answer: 4. Provide straight line access to the apex